True about subcutaneous nodules in rheumatic fever
1. Non tender
2. Most common manifestation
3. Present in flexor surfaces
4. Associated with arthritis

Correct answer: 1. Non tender

Explanation: Ref Harrison 19 th ed pg 2152 Subcutaneous nodules occur as painless, small (0.5-2 cm), mobile lumps beneath the skin overlying bony prominences, particularly of the hands, feet, elbows, occiput, and occasionally the vertebrae. They are a delayed manifestation, appearing 2-3 weeks after the onset of disease, last for just a few days up to 3 weeks, and are commonly asso- ciated with carditis.